Asprin is not given in a patient who is already on heparin because aspirin causes:
1. Platelet dysfunction
2. Aspirin inhibits the action of heparin
3. Enhanced hypersensitivity of heparin
4. Therapy of heparin cannot be monitored

Correct answer: 1. Platelet dysfunction

Explanation: Aspirin inactivates cyclo-oxygenase by irreversible acetylation of the enzyme and thereby inhibit the synthesis of thromboxane A2. Thromboxane A2 normally promotes platelet aggregation. This COX inhibition lasts for 7 - 10 days till fresh platelets are formed. From medical pharmacology padmaja 4th edition Page no 344